Definitive treatment for a case of severe pre eclampsia is -
1. MgSO4
2. Delivery of baby
3. Antihypertensive drugs
4. Rest

Correct answer: 2. Delivery of baby

Explanation: Ans. is 'b' i.e., Delivery of baby "For all types of PIH, irrespective of severity, definitive management is termination ofpregnancy".